The voice in a patient with bilateral abductor paralysis of larynx is
1. Pubophonia
2. Phonasthenia
3. Dysphonia plicae ventricularis
4. Normal or good voice

Correct answer: 4. Normal or good voice

Explanation: As both the cords lie in median or paramedian position, the airway is inadequate causing dyspnoea and stridor but the voice is good. Dyspnoea and stridor become worse on exertion or during an attack of acute laryngitis. Ref: PL Dhingra Textbook of Ear, Nose and Throat, Edition 7, page - 339